Fluoride, used in the collection of blood samples, inhibits the enzyme:
1. Glucokinase
2. Hexokinase
3. Enolase
4. Glucose-6-phosphatase

Correct answer: 3. Enolase

Explanation: Ans. Enolase